Which of the following produce both polar and peritrichous flagella.
1. V. parahemolytic
2. Pseudomonas
3. Legionella
4. Spirilla

Correct answer: 1. V. parahemolytic

Explanation: Polar flagella : Vibrio, pseudomonas, legionella, spirilla, campylobacter, H. pylori, spirochetes. – V. parahemolytic produce both polar and peritrichous flagella.